Which of the following is the most common cataract in the newborn -
1. Zonular Cataract
2. Morgagnian Cataract
3. Ant. polar Cataract
4. Post, polar Cataract

Correct answer: 1. Zonular Cataract

Explanation: Answer: A The commonest cataract in childhood is Blue Dot cataract which presents without visual obstruction. And the commonest congenital cataract which presents with a visual defect is zonular cataract.